All are true about Hodgkins lymphoma except ?
1. Less aggressive than NHL
2. Single node involvement common
3. Spread in continuity
4. Systemic involement more common than NHL

Correct answer: 4. Systemic involement more common than NHL

Explanation: Ans. is 'd' i.e., Systemic involvement more common that NHL